All of the following are true regarding influenza except-
1. Point mutations in hemagglutinin gene cause antigenic drift
2. Acquisition of completely new hemagglutin in gene cause antigenic shift
3. Amantidine is active against influenza B only
4. Amantidine Shortnes the illness

Correct answer: 3. Amantidine is active against influenza B only